Amyloid stroma is seen with?
1. Papillary carcinoma Thyroid
2. Medullary carcinoma Thyroid
3. Follicular carcinoma Thyroid
4. Anaplastic carcinoma Thyroid

Correct answer: 2. Medullary carcinoma Thyroid

Explanation: Ans. (b) Medullary carcinoma thyroidRef: Robbings pathology 9th ed. /1099MEDULLARY CARCINOMA THYROID* Accounts for approximately 7% of malignant tumour of thyroid* It arises from ultimo-branchial bodies (from the para- follicular C cells derived from thyroid follicles).* It contains amyloid stroma* Familial medullary carcinomas occur in 25% of patients (Marfanoid habitus, Amyloid disease also occur in patients with familial medullary cancer).* Medullary carcinoma occurs in association with (MEN) syndrome.* All patients with medullary carcinoma of thyroid should be screened for RET proto-oncogene.* Medullary Carcinoma thyroid secretes calcitonin, this does not cause hypocalcemia